After rupture of middle meningeal artery bleeding occurs in which region -
1. Subdural bleed
2. Extradural bleed
3. Intracerebral bleed
4. Subarachnoid bleed

Correct answer: 2. Extradural bleed